Cysticercosis is caused by:
1. T. Solium
2. T. Saginata
3. A. duodenale
4. E. granulosus

Correct answer: 1. T. Solium

Explanation: Ans. is 'a' i.e., T. Solium(Ref: D.R. Arora, 3rd/e, p. 131; Chatterjee, 12th/e, p. 118)TapewormsT. soliumT. saginata* Larval stage - cysticercus cellulosae* Develops in the muscles of pig* Has also been found in the man causing cysticercosis* Larval stage - cysticercus bovis* Develops in the muscles of cattle*Not found in man.